A middle aged male comes to the OPD with the only complaint of hoarseness of voice for the past 2 years He has been a chronic smoker for 30 years, on examination, a reddish area of mucosal irregularity overlying a portion of both cords was seen. Management would include all EXCEPT
1. Cessation of smoking
2. Bilateral cordectomy
3. Microlaryngeal surgery for biopsy
4. Regular follow up

Correct answer: 2. Bilateral cordectomy

Explanation: * Any patient in cancer age group having persistent or gradually (hoarseness of voice for 3 weeks must have laryngeal examination to exclude cancer * Clinical presentation and examination reveals a premalignant lesion of the vocal cords. * Management * Cessation of smoking * Microlaryngeal surgery for biopsy * Regular follow up * Best treatment in this stage is radiotherapy rather than bilateral cordectomy